All the following are transmitted by Aedes, except ?
1. Yellow fever
2. Dengue
3. Chickungunya
4. None of the above

Correct answer: 4. None of the above

Explanation: Malaria is transmitted by female anopheles mosquito. The yellow fever mosquito, Aedes aegypti is a mosquito that can spread the dengue fever, Chikungunya and yellow fever viruses.